A 64 year old man, has had recurring nasal hemorrhages following surgery to remove nasal polyps. To control the bleeding, the surgeon is considering ligating the primary arterial supply to the nasal mucosa. This artery is a direct branch of which of the following arteries?
1. Facial artery
2. Maxillary artery
3. Superficial temporal artery
4. Superior labial artery

Correct answer: 2. Maxillary artery

Explanation: The major source of blood supply to the nasal mucosa is the sphenopalatine artery, which is the terminal branch of the maxillary artery. The sphenopalatine artery enters the nasal cavity from the pterygopalatine fossa by passing through the sphenopalatine foramen in the lateral wall of the nasal cavity.